Uterus and cervix develop from
1. Mullerian duct
2. Wolffian duct
3. Mesonephirc duct
4. None

Correct answer: 1. Mullerian duct

Explanation: Two embryonic structures that play an important role in the development of the urogenital system are the intermediate mesoderm and the cloaca. Intermediate Mesoderm is subdivided into three parts: 1. Paraxial mesoderm which becomes segmented to form the somites. 2. Lateral plate mesoderm in which the intraembryonic coelom appears. 3. Intermediate mesoderm lying between the two. Paramesonephric ducts are present in the intermediate mesoderm. They are formed by invagination of coelomic epithelium In the female, the paramesonephric ducts( give origin to the uterine tubes, the uterus, and part of the vagina. Ref: Inderbir Singh's Human Embryology, Eleventh edition, pg.no., 265, 273. table Ref: Inderbir Singh's Human Embryology, Eleventh edition, pg.no., 286(Table 16.1).